Which of the following produces the least damage to blood elements
1. Disc oxygenator
2. Membrane oxygenator
3. Bubble oxygenator
4. Screen oxygenator

Correct answer: 2. Membrane oxygenator

Explanation: B i.e. Membrane Oxygenator Membranous (pump) oxygenators produce least damage to blood elements (RBCs, WBCs, platelets)Q and cause least denaturation of proteins. They have improved the efficiency of gas exchange while minimizing the trauma to blood elements. Due to these advantages membrane oxygenators have largely replaced bubble oxygenators. Oxygenators are devices used in cardiopulmonary bypass surgeries. Currently only two types of oxygenators -Membranous & bubble oxygenators are in use. Membranous oxygenators imitate the natural lung by interspersing a thin membrane between gas and blood phases. This eliminates gaseous micro emboli formation & minimizes blood element trauma. Hematological advantages of membranous oxygenator (vs bubble oxygenators) are - less trauma to RBC, WBC, platelet & less protein denaturation. Due to these advantages membranous oxygenators have largely replaced bubble oxygenators. Disc oxygenators & vertical screen oxygenators were used in past.